Bacteria can transfer genetic information through all of the following methods except:
1. Through conjugation
2. Through bacteriophages
3. Through incorporation of part of host DNA
4. By taking up soluble DNA fragments across their cell wall from other species

Correct answer: 3. Through incorporation of part of host DNA

Explanation: Genetic information can be transferred from one bacterium to another through three methods transformation, transduction and conjugation. Methods of transfer Mechanism Nature of DNA transferred Transformation Transfer of DNA from one bacterium to another Any gene Transduction Transfer of DNA from one bacterium to another by bacteriophage Any gene in generalized transduction, only selected genes in specialized transduction Conjugation Transfer of DNA from one bacterium to another through sex pilus Chromosomal or plasmid DNA Ref: Textbook of Microbiology By Ananthanarayan and Panicker, 6th Edition, Page 53 ; Textbook of Microbiology and Immunology By Parija, Pages 54-7